True about Cyclophosphamide
1. Antimetabolites
2. Alkylating agent
3. Platinum compound
4. Topoisomerase inhibitors

Correct answer: 2. Alkylating agent

Explanation: Ans. (b) Alkylating agentRef. katzung 9th ed. /1280; KDT 819-820* Cyclophosphamide is the most widely used alkylating agent.* It is an inactive compound. Transformation into active metabolite occurs in liver, and a wide range of anti tumor action is exerted.* It has prominent immunosuppressant property, so it has been particularly utilized in bone marrow transplantation. In other organ transplants it is employed only as a reserve drug.* Drugs of different category are:Alkylating agentsAntimetabolitesPlatinum compoundTopo-isomerase inhibitors* Cyclophosphamide* Ifosfamide* Mechlorethamine* Melphalan* Busulfan* Procarbazine* Nitrosourea# Carmustine# Lomustine# semustineFolic acid antagonist* MethotrexatePurine analogues* 6 Mercaptopurine* 6thioguanine* Cladribine* FludarabinePyrimidine analogues* Capecitabin* Gemcitabin* Cyatarabine and 5 FU* Cisplatin* Carboplatin* OxaliplatinTOPOISOMERASE-I* IrinotecamTOPOISOMERASE-II* Etoposide* Anthracycline# Doxorubicin# daunorubicin